Commonest fungal infection of the female genitalia in diabetes is:
1. Cryptococcal
2. Madura mycosis
3. Candidial
4. Aspergellosis

Correct answer: 3. Candidial

Explanation: C i.e. Candidial